All of the following adverse effects can be caused by loop diuretics except :
1. Hypercalcemia
2. Hyperglycemia
3. Hypomagnesemia
4. Hyperuricemia

Correct answer: 1. Hypercalcemia